A 24-year-old male patient with h/o primary syphilis in the form of genital ulcer & mucocutaneous lesions presents with features suggestive of neurosyphilis in the form of meningitis for which appropriate treatment was started. What will you do for monitoring of treatment -
1. Venereal disease Research Laboratory test (VDRL)
2. TPI
3. FTS-AB
4. ELISA

Correct answer: 1. Venereal disease Research Laboratory test (VDRL)